In which of the following conditions man is the mammalian reservoir?
1. Epidemic typhus
2. Endemic typhus
3. Scrub typhus
4. Rickettsial pox

Correct answer: 1. Epidemic typhus

Explanation: The causative agent and mammalian reservoirs of some diseases are given below: Epidemic typhus - Humans Endemic typhus - Rodents Scrub typhus - Rodents Rickettsialpox - Mice Note: Incase of trench fever caused by Rochalimaea quintana the mammalian reservoir is human. Ref: Park, Edition 21, Page - 274